Detoxification of drugs is controlled by;
1. Cytochrome
2. Cytochrome P450
3. Cytochrome C
4. Cytochrome A

Correct answer: 2. Cytochrome P450

Explanation: Ans B. Cytochrome P450 Detoxification is the removal of toxic substances from the body. Metabolism of xenobiotics takes place in two phases. In phase 1, the major reaction involved is hydroxylation, catalyzed by members of a class of enzymes referred to as monooxygenases or cytochrome P450s . The reaction catalyzed by a monooxygenase (cytochrome P450 ) is as follows:RH+O+NADPH+H+-ROH+HO+NADPRH above can represent a very wide variety of xenobiotics, including drugs, carcinogens, pesticides, petroleum products, and pollutants (such as a mixture of PCBs). In addition, endogenous compounds, such as certain steroids, eicosanoids, fatty acids, and retinoids, are also substrates. The substrates are generally lipophilic and are rendered more hydrophilic by hydroxylation. Cytochrome P450 is considered the most versatile biocatalyst known.